AML with worst prognosis
1. 8/21 translocation
2. Inversion 16
3. Normal cytogenetics
4. Monosomy 7

Correct answer: 4. Monosomy 7

Explanation: AMLs with t (15;17)have best prognosis. AMLs with t (8;21)or inv (16) have relatively good prognosis with conventional chemotherapy. Poor prognosis for AMLs that follow MDS or genotoxic therapy or that occurs in adults. AMLs following MDS or exposure to DNA damaging agents have deletions or monosomies involving chromosomes 5 and 7.There fore monosomy 7 has the worst prognosis Ref:Robbins and Cotran Pathologic basis of disease.South Asia Edition -9;volume 1.page no.614